Phencyclidine is also known by all except
1. Cadillac
2. Peace pill
3. Rocket fuel
4. White lightning

Correct answer: 4. White lightning

Explanation: Phencyclidine - other names - Cadillac, Peace pill, Rocket fuel, Hog, Goon, Angel dust, Super grass - It is used as psychedelic and hallucinogen. - LSD - White lightening - Phencyclidine also causes Dissociative Anaesthesia.